Hyponasal voice is seen in all except ?
1. Adenoids
2. Nasal polyp
3. Cleft palate
4. Habitual

Correct answer: 3. Cleft palate

Explanation: Ans. is 'c' i.e., Cleft palate Cause of hyponasality and hypernasality Hyponasality Hypernasality Common cold Velopharyngeal insufficiency Nasal allergy Congenitally short soft palate Nasal polyp Submucous palate Nasal growth Large nasopharynx Adenoids Cleft of soft palate Nasopharyngeal mass Paralysis of soft palate Familial speech pattern Post-adenoidectomy Habitual Oronasal fistula Familial speech pattern Habitual speech pattern